Drugs least effective against MRSA
1. Teicoplanin
2. Meropenem
3. Quinupristin
4. Linezolid

Correct answer: 2. Meropenem

Explanation: Drugs effective against MRSA are SS Cotrimoxazole, SS Certain cephalosporins, SS Vancomycin, SS Teicoplanin, SS Dalfopris n, SS Quinupris n SSLinezolid.